Broca's area is:
1. 44, 45
2. 43, 44
3. 40, 42
4. 39, 41

Correct answer: 1. 44, 45

Explanation: Ans. A. 44, 45Broca's area is aregion in the frontal lobe of the dominant hemisphere, usually the left, of the brain with functions linked to speech production.